Urea cycle linked to kreb's cycle by?
1. Fumarate
2. Oxaloacetate
3. Ornithine
4. Citrullin

Correct answer: 1. Fumarate

Explanation: ANSWER: (A) FumarateREF: Harper's illustrated biochemistry 27th ed p. 246-49Arginosuccinate is converted to arginine at this step fumarate is released. At this step urea cycle cycle is linked with TCA cycle.